A child presents with hypochromic microcytic anemia, with normal levels of free Erythrocyte Protoporphyrin The most likely diagnosis is:
1. Iron deficiency anemia
2. Lead toxicity
3. Thalassemia
4. Anemia of chronic disease

Correct answer: 3. Thalassemia

Explanation: Answer is C (Thalassemia) Erythrocyte protoporphyrin levels are characteristically normal in Thalassemia Free Erythrocyte Protoporphyrin is a useful screening test for microcytic hypochromic anemias. Free Erythrocyte protoporphyrin levels are increased in iron deficiency anemias, lead poisoning many cases of sideroblastic anemia and anemias of chronic disease. Erythrocyte protoporphyrin levels are normal in Thalassemias. Parameter Iron Deficiency Lead Poisoning Thalassemia trait Chronic disease Free Erythrocyte Ted Ted Normal Ted Protoporphyrin (FEP)